The term 'myopia' refers to:
1. Near sightedness
2. Far sightedness
3. Constriction of the pupil
4. Dilation of the pupil

Correct answer: 1. Near sightedness